Which of the following is not true regarding treatment for chalazion
1. Vertical incision
2. Incision and curettage
3. Biopsy in recurrent cases
4. Cryotherapy

Correct answer: 4. Cryotherapy

Explanation: Cryotherapy is not used as treatment in chalazion CHALAZION Chronic non infective lipogranulomatous inflammation.* C/F painless swelling with nodule formationn Remember- Recurrent chalazion or seborrheic blepharoconjunctivitis rule out any sebaceous cell carcinoma. (Adenocarcinoma)* Can also get infected and form hordeolum internum Rx Intralesional triamcinolone Incision and curettage is done from conjunctival side. Horizontal incisions are avoided to minimize damage to meibomian ducts.